Reactionary hemorrhage is hemorrhage after surgery that occurs
1. Within 24 hours
2. After 24 hour
3. After 72 hours
4. After 7 days

Correct answer: 1. Within 24 hours